Which of the following movements is restricted in Perthe's disease -
1. Adduction & external rotation
2. Abduction & external rotation
3. Adduction & internal rotation
4. Abduction & internal rotation

Correct answer: 4. Abduction & internal rotation

Explanation: Ans. is 'd' i.e., Abduction & internal rotationClinical features of Perthes diseaseo Perthes disease is common in male of age group 5-10 years.o Pain in the hip, often radiating to knee,o Limp (antalgic limp)o Limitation of movement:-Abduction, internal rotation and extension are limited, therefore there is adduction, external rotation, and flexion deformity,o Shortening of limb.o Positive trendelenburg test.o During the disease process, bone age is 1-3 years lower than the normal. After healing, bone age returns to normal.